Unwinding of DNA is done by
1. DNA polymerase
2. DNA primase
3. Helicase
4. DNA ligase

Correct answer: 3. Helicase

Explanation: In addition to binding to the nucleosome, the H1 protein binds to the "linker DNA" (approximately 20-80 nucleotides in length) region between nucleosomes, helping stabilize the zig-zagged 30 nm chromatin fiber Ref-Sathyanarayana 4/e p360